A 20 year old Female was brought to OPD by her parents. She had frequent breat-ups and attempted suicide in the past. She also had mood swings. Most like diagnosis
1. Histrionic personality disorder
2. Antisocial personality disorder
3. Borderline personality disorder
4. Dependant personality disorder

Correct answer: 3. Borderline personality disorder

Explanation: Unstable relationships suicidal attempts & mood swings are suggestive of Borderline personality disorder.